The neuromuscular blocker that does not need reversal of action by neostigmine at the end of the operation is:
1. d-Tubocurarine
2. Doxacurium
3. Pipecuronium
4. Mivacurium

Correct answer: 4. Mivacurium

Explanation: * Long acting non-depolarizing (competitive) NM blocking agents require reversal with neostigmine. * Mivacurium is the shortest acting NDMR. It does not require reversal due to its short duration of action. * Mivacurium can be used in day care surgery.